Maltese cross in polarizing microscopy is seen in:
1. Cryptococcus neoformans
2. Penicillium marneffi
3. Blastomyces
4. Candida albicans

Correct answer: 1. Cryptococcus neoformans

Explanation: Ans. (a) Cryptococcus neoformans odoit:Medical conditions showing maltese cross Infections: Babseia Cryptococcus Paracoccidiodes Malassezia sp. Lab medicine: Urinalysis: 'Maltese crosses' shaped cast are seen in patients of nephrotic syndrome, eclampsia, renal toxicity, fat embolism, after crush injury and in Fabry's disease--due to aggregates of glycosphingolipids Orthopaedics: Arthroscopic fluid following local trauma